Lesion characteristic of secondary syphilis is?
1. Genital Ulcer
2. Condyloma acuminata
3. Dermal tenderness
4. Hutchinson's teeth

Correct answer: 3. Dermal tenderness

Explanation: Ans is 'c' i.e., Dermal tenderness * Deep dermal tenderness on pressure (Buschke ollendraff sign) is a characteristic feature of secondary syphilis.Secondary syphilis presents with : -1) Most common manifestation is rash. Rash is usually bilateral symmetrical macule or maculopapular, which occurs on palms & soles. The macule is non-pruritic and asymptomatic. Other lesions may be papules or papulo-squamous.2) Generalized non-tender lymphadenopathy.3) Condyloma lata It is the most infectious lesion of syphilis. These are large pink or graywhite papules in warm, moist, intertriginous areas especially perianal, vulva and scrotum.4) Mucous patches : - Superficial mucosal erosions in lips, oral mucosa, tongue, pharynx, vulva, vagina, glans penis, inner prepuce.5) Constitutional symptoms: - Sore throat, fever, weight loss, malaise, anorexia, headache.6) Moath eaten alopecia - It is patchy alopecia.7) Buschke ollendraff sign: Deep dermal tenderness on pressure